Inferior most structure of right hilum is:-
1. Bronchus
2. Inferior pulmonary vein
3. Pulmonary artery
4. Inferior bronchial vein

Correct answer: 2. Inferior pulmonary vein

Explanation: Inferior pulmonary vein is the lowermost structure in the hila of each lung. Fig. : Arrangement of structures in the roots of right and left lungs. Arrangement of structures at the lung hilum (above downwards) Right side Left side Eparterial bronchus Pulmonary artery Pulmonary artery Left principal bronchus Hyparterial bronchus Inferior pulmonary vein Inferior pulmonary vein